Lithium is not used in the treatment of which of the following
1. Major depression
2. Vascular headache
3. Neutropenia
4. Generalized anxiety disorder

Correct answer: 4. Generalized anxiety disorder

Explanation: uses of lithium is important it is used in several disorders like vascular headache mania depression drug induced neutropenia suicidal ideas in mania Ref.Kaplon and sadock, synopsis of psychiatry, 11 th edition, pg no. 983